The drug which is used for long-term maintenance in opioid addiction:
1. Nalorphine
2. Naloxone
3. Butarphanol
4. Methadone

Correct answer: 4. Methadone

Explanation: Ans. Methadone